Omalizumab is indicated for which of the following conditions -
1. Multiple myeloma
2. Psoriasis
3. Bronchial asthma
4. Rheumatoid arthritis

Correct answer: 3. Bronchial asthma

Explanation: Ans. is 'c' i.e., Bronchial asthma o It is humanized monoclonal antibody against IgE. o In severe extrinsic asthma, omalizumab has been found to reduce excerbations and steroid requirement.